Dysphagia in Plummer Vinson syndrome is due to
1. Post cricoid region commonly involved in web formation
2. Web is common in lower region
3. It is due to abnormal vessels
4. Web is common in middle zone

Correct answer: 1. Post cricoid region commonly involved in web formation

Explanation: Ans. is 'a' i.e. Post cricoid region commonly involved in web formation